In urea cycle, hydrolysis of arginine forms
1. Citrulline
2. Ornithine
3. Carbomoyl phosphated
4. Arginosuccinase

Correct answer: 2. Ornithine

Explanation: Hydrolysis of arginine by enzyme arginase produce ornithine and urea Ref-Sathyanarayana 4/e p393